Hidebound disease is:
1. DLE.
2. Scleroderma.
3. Acrodermatitis enteropathica.
4. None.

Correct answer: 2. Scleroderma.

Explanation: Systemic Sclerosis: Scleroderma, dermatosclerosis, hidebound disease.